Antipsychotic drug with maximum hypotensive effect -
1. Fluphenazine
2. Trifluperazine
3. Thioridazine
4. Haloperidol

Correct answer: 3. Thioridazine